The term "Disease Control" describes ongoing operations aimed at reducing the following except the -
1. Incidence of disease
2. Financial burden to the community
3. Virulence of the disease agent
4. Disease duration

Correct answer: 3. Virulence of the disease agent

Explanation: Ans. is 'c' i.e., Virulence of the disease agent Disease control o The term disease control describes, reducing the i) The incidence of disease ii) The duration of disease and consequently the risk of transmission iii) The effects of infection, including its complications iv) Financial burden to the community o Most control programmes combine the activities of primary prevention and secondary prevention. o The concept of tertiary prevention is comparatively less relevant to control efforts.